IUCD having the longest life span is-
1. Progestasert
2. Cu T 380A
3. Mirena
4. Nova T

Correct answer: 2. Cu T 380A

Explanation: Ans. is 'b' i.e., Cu T 380A The time periods for replacement for various IUDs are:-* Copper T 200 : 3 years* Copper T 380A : 10 years* Multiload Cu 250 : 3 years* Multiload 375 : 5 years* LNG-IUS/Mirena : 5 years* Progestasert: 1 year* Nova T : 5 years